All are features of lead poisoning, except :
1. Diarrhoea
2. Abdominal pain
3. Encephalopathy
4. Nephropathy

Correct answer: 1. Diarrhoea

Explanation: A i.e. Diarrhoea